Which one of the following is NOT an advantage of immediate dentures:
1. reduced post operative pain
2. easy adaptation
3. less chairside time
4. none of the above

Correct answer: 3. less chairside time